Which of the following is true regarding Housemaids knee ?
1. Prepatellar bursitis
2. Infrapatellar bursitis
3. Plica syndrome
4. Chondromalacia patellae

Correct answer: 1. Prepatellar bursitis

Explanation: Common bursitis Prepatellar bursitis: Housemaid's knee Infrapatellar bursitis: Clergyman's knee Olecranon bursitis: Student's elbow Ischial bursitis: Weaver's bottom On lateral malleolus: Tailor's ankle On great toe: Bunion ref : maheswari 9th ed